Commonest congenital tumour of conjunctiva is:
1. Epibulbar dermoid
2. Benign melenoma
3. Papilloma
4. Capillary haemangioma

Correct answer: 1. Epibulbar dermoid

Explanation: Ans. Epibulbar dermoid